The blood supply of tonsils is:
1. Lingual artery
2. Superior thyroid artery
3. Facial artery
4. Pharyngeal artery

Correct answer: 3. Facial artery